Which of the following is an exotoxin:
1. E. coli toxin
2. Proteus
3. Pseudomonas
4. Tetanus toxin

Correct answer: 4. Tetanus toxin

Explanation: Ans. Tetanus toxin